Symptoms of Neuroleptic Malignant Syndrome (NMS) are all of the following except?
1. Confusion
2. Hypothermia
3. Diaphoresis
4. Hypertension

Correct answer: 2. Hypothermia

Explanation: Ans. B. HypothermiaNeuroleptic malignant syndrome (NMS): Levenson clinical criteriaMajor: Fever, rigidity, elevated creatinine phosphokinaseMinor: Tachycardia, abnormal arterial pressure, tachycardia, altered consciousness, diaphoresis, leukocytosis